Thrombolytic therapy with streptokinase is contraindicated in all of the following except
1. Supraventricular tachycardia
2. Recent trauma
3. Recent cerebral bleeding
4. Recent surgery

Correct answer: 1. Supraventricular tachycardia

Explanation: In all the other given conditions thrombolytics increase bleeding. From essential of medical pharmacology K D Tripati 7th edition Page no 627